Population growth is rated explosive if annual growth rate exceeds
1. 2%
2. 1.50%
3. 1%
4. 0.50%

Correct answer: 1. 2%

Explanation: Relation between Annual growth rate(AGR) and population Rating Annual GR Population doubling Time Stationary population None - Slow growth <0.5 >139 years Moderate growth 0.5-1.0 139-70 Rapid growth 1.0-1.5 70-47 Very rapid growth 1.5-2.0 47-35 Explosive growth 2.0-2.5 35-28 Explosive growth 2.5-3.0 28-23 Explosive growth 3.0-3.5 23-20 Explosive growth 3.5-4.0 20-18 Ref: Park 25th edition Pgno : 532